Which of the following OCP's have the least amount of estrogen:
1. Mala N
2. Triquilar
3. Femilon
4. Novelon

Correct answer: 3. Femilon